Which of the following is the most common location of branchial cyst?
1. Upper ?rd of anterior border of SCM
2. Upper ?rd of posterior border of SCM
3. Lower ?rd of posterior border of SCM
4. Lower ?rd of anterior border of SCM

Correct answer: 1. Upper ?rd of anterior border of SCM

Explanation: Brachial cyst is most frequently located at the anterior border of sternocleidomastoid where the upper third meets the middle third. It usually arise from the failure of obliteration of pharyngobranchial ducts during fetal development. It appear as a tender inflammatory mass.